Which of the following inheritable orofacial deformity is a Recessive trait
1. Dentin Dysplasia
2. Dentinogenesis imperfect
3. White spongy nevus
4. None of the above

Correct answer: 4. None of the above

Explanation: All these are Dominant traits.